Gall bladder enlargement occurs in:
1. Carcinoma of pancreas
2. Hepatic cirrhosis
3. Chronic hepatitis
4. Chronic cholelithiasis

Correct answer: 1. Carcinoma of pancreas